Which one of the following is of most serious prognostic significance in a patient of essential hypertension -
1. Diastolic blood pressure greater than 130 mmHg
2. Transient ischaemic attacks
3. Left ventricular hypertrophy
4. Papilloedema and progressive renal failure

Correct answer: 4. Papilloedema and progressive renal failure